Side effect seen with atypical antipsychotic:
1. Miosis
2. Weight gain
3. Akathisia
4. Dystonia

Correct answer: 2. Weight gain

Explanation: Ans. B. Weight gainAtypical antipsychotics act through 5HT-2 and alpha receptor with weak D2 blocking activity. They are less likely to cause EPS but they are known to cause weight gain, hyperlipidemia and diabetes. Olanzapine is known to cause the weight gain.